Which of the following does not bind to GABA receptor chloride channels -
1. Ethanol
2. Alphaxolone
3. Zolpidem
4. Buspirone

Correct answer: 4. Buspirone

Explanation: Ans. is 'd' i.e., Buspirone